Crown completion of Maxillary lateral incisors occur
1. At birth
2. 4-5 years
3. 6-8 years
4. 8-9 years

Correct answer: 2. 4-5 years